Short elimination half–life (8–10 min) of esmolol (beta–adrenergic blocker) is due to:
1. Rapid redistribution
2. Rapid elimination by kidney
3. Hydrolysis by blood esterase
4. Rapid protein binding

Correct answer: 3. Hydrolysis by blood esterase